All are associated with Wernicke'S encephalopathy except-
1. Cog wheel rigidity
2. Alteration in mental function
3. Vlth nerve palsy
4. Ataxia

Correct answer: 1. Cog wheel rigidity

Explanation: Ans. is 'a' i.e., Cog-wheel rigidity o Wernicke's encephalopathy is characterized by a triad of global confusion (alteration in mental function). Ophthalmoplegia (Bilateral 6th nerve palsy) and ataxia.Wernicke's encephalopathyo It is an acute neurological disorder characterized by a classical triad of ataxia, ophthalmoplegia and confusion. The clinical findings include : -Ocular : - Nystagmus, bilateral lateral rectus palsy, conjugate gaze palsies. The most common ocular abnormality is nystagmus, not complete ophthalmoplegia. Less frequently noted are pupillary abnormalities such as sluggishly reactive pupil, ptosis, scotomas, and anisocoria.CNS (encephalopathy) : - Global confusion, disinterest, inattentiveness or agitation. Rarely stupor and coma may occur.Gait ataxiaPeripheral polyneuropathy : - Weakness, foot drop, decreased proprioception.Other symptoms : - Autonomic dysfunction (tachycardia & postural hypotension). If there is coexisting cardiovascular beriberi; hypothermia; abdominal symptoms (nausea, vomiting, abdominal pain).